Maintenance dose rate of drug depends primarily on
1. Volume of distrubtion
2. Half life
3. Lipid solubility
4. Total body clearance

Correct answer: 4. Total body clearance

Explanation: Ref-KDT 6/e p34 Maintenance dose is determined by clearance Maintenance dose=CLxPlasma concentration required